Cornua of uterus lymphatic drain in which group of lymph node
1. External iliac
2. Lumbar group of lymph nodes
3. Superficial inguinal lymph nodes
4. Deep inguinal lymph nodes

Correct answer: 3. Superficial inguinal lymph nodes

Explanation: From fundus and upper part of body, most of the lymphatics drain into pre and para aortic lymph nodes along ovarian vessels.However a few lymphatic vessels from the lateral angles of the uterus drain into superficial inguinal lymph nodes along the round ligaments of the uterus.From the lower part of the body, the lymph vessels drain into external iliac nodes the broad ligament.From cervix, each side the lymph vessels drain into 3 directions a) laterally into external iliac and obturator nodes b)posterolaterally into internal iliac nodes and c) posteriorly into sacral noesReference: Textbook of anatomy ,Abdomen and Lower limb, Vishram Singh, 2nd edition, page no.272